First manifestation in cell injury
1. Pyknosis
2. Cell swelling
3. Nuclear fragmentation
4. Nuclear lysis

Correct answer: 2. Cell swelling

Explanation: Ans. (b) Cell swelling(Ref: Robbins 9th/pg 46; 8th/pg 12)Cloudy swellingQ - earliest morphological change in reversible cell injuryQ due to accumulation of water intracellularly